A lady presented with nonprogressive dysphagia only for solids. Barium study showed proximal esophageal dilatation with distal constriction. The most likely diagnosis is
1. Peptic Stricture
2. Carcinoma esophagus
3. Achalasia Cardia
4. Lower esophageal Ring

Correct answer: 4. Lower esophageal Ring

Explanation: Lower esophageal ring or schatzki ring or type B ring is seen in the distal esophagus at the squamocolumnar junction demonstrable in 15% of the people and are usually asymptomatic.When the diameter is less than 13mm, it causes episodic solid food dysphagia.The dysphagia is otherwise called as steakhouse syndrome.(Ref: Harrison's 18/e p2429)